Posterior iliac horns are seen in –
1. Fisher's syndrome
2. Crouzan syndrome
3. Nail patella syndrome
4. Pierre Robbins syndrome

Correct answer: 3. Nail patella syndrome

Explanation: Nail-Patella syndrome is characterized by : 

Small or absent nails                  
Overextension of joints  
Small or absent patella    
Posterior iliac horns  
Renal anomalies 
Skin laxity
Hyperhidrosis